The most common site of nasopharyngeal carcinoma is
1. Fossa of Rosenmuller
2. Palatine tonsils
3. Antrochoanal region
4. Valleculae

Correct answer: 1. Fossa of Rosenmuller

Explanation: The commonest site of origin of nasopharyngeal carcinoma is fossa of Rosenmuller in the lateral wall of the nasopharynx.
Tumor can spread to the following areas:-

Cranium through foramen lacerum & ovale → cranial nerves involvement (III, IV, V, VI); facial pain, and ophthalmic symptoms.
Parapharyngeal space → cranial nerves (IX, X, XI, XII) involvement, Horner's syndrome, Trismus (Pterygoid muscle).
Retropharyngeal nodes → Neck pain & stiffness.
Eustachian tube → Serous OM.
Nose and orbit → Obstruction, epistaxis, proptosis.
Cervical nodes → Upper jugular and posterior triangle nodes enlargement.
Distant metastasis → Lung, liver, bone.
Middle ear → Rarely, tumor grows up the tube into the middle ear.